Amino acid derived hormone are all except:
1. Adrenal medullary hormone.
2. Thyroid hormone.
3. FSH.
4. None.

Correct answer: 3. FSH.

Explanation: Steroid hormones (derivatives of cholesterol) - Eg: Corticosteroids and sex hormones
Derivatives of amino acid tyrosine - Eg: Thyroid & adrenal medullary hormones
Protein hormones –

i) Glycoproteins - Eg: TSH, LH, FSH
ii) Polypeptides - Eg: Growth hormone, ACTH, Insulin, Prolactin